Thyroid gland function is best monitored by which of the following:
1. Basal metabolic rate (BMR)
2. Thyroxine and tri–iodothyronine uptake
3. Level of thyroid stimulating hormone
4. Level of protein bound iodine

Correct answer: 3. Level of thyroid stimulating hormone